PCR does not require:
1. Primer
2. DNA-fragments
3. DNA polymerase
4. Radio-labeled DNA probe

Correct answer: 4. Radio-labeled DNA probe

Explanation: Ans. Radio-labeled DNA probe